Breast Ca is not a/w
1. BRCA 1 & BRCA 2
2. Apocrine metaplasia
3. Atypical ductal hyperplasia
4. Moderate hyperplasia

Correct answer: 2. Apocrine metaplasia

Explanation: Frequently, in FIBROCYSTIC CHANGES the lining cells are large and polygonal with abundant granular, eosinophilic cytoplasm and small, round, deeply chromatic nuclei. Such morphology is called apocrine metaplasia and virtually always is benign. ref : Robbins Basic Pathology, 9E,page-705